Common site of regional enteritis is ?
1. Colon
2. Rectum
3. Distal ileum and colon
4. Caecum

Correct answer: 3. Distal ileum and colon

Explanation: Ans. is 'c' i.e., Distal ileum and colon Crohn disease (Terminal ileitis or regional enteritis) Crohn disease (CD) is an inflammatory bowel disease (IBD) which is characterized by ? 1) Sharply delimited and typically transmural involvement of the bowel by an inflammatory process with mucosal damage. 2) The presence of non caseating granulomas. 3) Fissuring with formation of fistula. o Any portion of intestine can be involved but most commonly small intestine is involved. Small intestine --> 40% Small intestine + colon --> 30% Colon --> 30%